Reception for bezold-jaisch reflex:
1. Stretch receptors
2. Mechanical receptors
3. Terminal ends of c fibers
4. All

Correct answer: 3. Terminal ends of c fibers

Explanation: It is associated with stimulation of nerve endings of c fibers It is produced due to any noxious stimulus and is cardio protective Serotonin agonists, nicotine,caspsaicin,snake and insect venom, veratrum alkaloids also produce this reflex Ref:Guyton and Hall textbook of medical physiology 12th edition, page number:216,217,218,219,220